IL-I is produced by
1. Macrophage
2. Helper T lymphocytes
3. B cells
4. Cytotoxic T-cells

Correct answer: 1. Macrophage

Explanation: Ans. (a) Macrophage Ref. Ananthanarayan 8/e, p 148, 9/e, p 154; Robbin's 7/e, p 82 Already explained in answer no. 5